An asymptomatic old patient presents with bruit in the carotid artery. Which of the following is the investigation of choice?
1. Doppler ultrasonography
2. Internal carotid angiography
3. Aortic arch angiography
4. Spiral CT angiography

Correct answer: 1. Doppler ultrasonography

Explanation: Bruit over carotid artery suggests carotid artery stenosis.
Duplex scanning (B-mode scan and doppler ultrasonic velocimetry) is the method of choice for assessing the degree of carotid stenosis.